Which of the following is false about sideropenic dysphagia
1. Presence of post cricoid webs
2. Increased risk of cancer oesophagus
3. Increased risk of hypopharyngeal carcinoma
4. None of the above

Correct answer: 4. None of the above